Which of the following theory is considered as the most complete, clinically useful and theoretically a sophisticated form of behaviour theory?
1. Hierarchy of needs
2. Social learning theory
3. Classical conditioning
4. Operant conditioning

Correct answer: 2. Social learning theory

Explanation: SOCIAL LEARNING THEORY
Bandura (1963)
Social learning theory is thought to be the most complete, cIinicalIy useful and theoretically a sophisticated form of behaviour therapy. As compared to Operant and Classical conditioning, this theory is:

Less reductionistic.
Provides more explanatory concepts.
Encompasses a broader range of phenomena.

 Shobha Tandon 2nd Ed P;129